Mechanism of action of amphotericin B:
1. Cell wall synthesis inhibitior
2. Alters permeability of fungal cell wall
3. Protein synthesis inhibitor
4. Act as antibody for fungus

Correct answer: 2. Alters permeability of fungal cell wall

Explanation: Ref: Sharma & Sharma 3rd ed. P 781* Amphotericin binds to fungal cell membrane namely ergosterol and alters the permeability of fungal cell wall by forming pores through which macromolecules like Na+,K+,Mg,H+ leaks out causing fungal cell death.* Resistance is due to replacement of ergosterol by other steol in fungal plasma membrane.* Peak antifungal activity of the drug occurs at pH 6.0 to 7.5 and the drug is widely distributed to most tissues EXCEPT CNS.* Plasma half life: 15 days* Use:# Most commonly used to treat serious fingal infections from yeast or mould group.# Superficially can be given to treat candidiasis.# DOC in following conditions:* Invasive aspergillosis (all patients including immunocompromised)* Mucormycosis* Disseminated histoplasmosis* Rapidly progressive coccidiomycosis* Rapidly progressive blastomycosis* Non AIIDS cryptococcal meningitis* Oropharyhgeal and cutaneous candidiasis* Kala Azar (liposomal Amp B)